Which of the following is found in the respiratory zone of the lung?
1. Goblet cells
2. Main bronchi
3. Mucous cells
4. Type I epithelial cells

Correct answer: 4. Type I epithelial cells

Explanation: There are two zones in the lung;the conducting zone (where there is no gas exchange) and the respiratory zone (where there is gas exchange). Of all of the structures listed, only Type I epithelial cells are located in the respiratory zone. Type II epithelial cells, also located in the alveoli, are the cells that produce surfactant. Goblet cells, which are mucus-secreting cells, are present in the conducting airways. The main bronchi are part of the conducting airways.Mucous cells , which are mucus-secreting cells, are present in the conducting airways.